People with high risk for development of breast cancer should be treated by prophylactic administration of :
1. Tamoxifen
2. Aminoglutethimide
3. Diethylstilbestrol
4. Flutamide

Correct answer: 1. Tamoxifen